Which IV line is preferred in patient with severe dehydration?
1. Green
2. Blue
3. Black
4. Grey

Correct answer: 4. Grey

Explanation: Ans. (D) GreyGrey is the 16 G cannula and wider the bore, higher the flow rate. Here the key is the rapid fluid replacement. (Ref: ATLS 18th Edition 2018, chapter 3 shock)ColorSizeExternal Diameter (mm)*Length (mm)*Water flow Rate (mL/min)*Recommended UsesOrange14G2.1 mm45 mm~240 mL/minTrauma, Rapid blood transfusion, SurgeryGray16G1.8 mm45 mm~180 mL/minRapid fluid replacement, Trauma, Rapid blood transfusionGreen18G1.3 mm32 mm~90 mL/minRapid fluid replacement, Trauma, Rapid blood transfusionPink20G1.1 mm32 mm~60 mL/minMost infusions, Rapid fluid replacement, Trauma, Routine blood transfusionBlue22G0.9 mm25 mm~36 mL/minMost infusions Neonate, pediatric, older adults Routine blood transfusionYellow24G0.7mm19 mm~20 mL/minMost infusions Neonate, pediatric, older adults, Routine blood transfusion, Neonate or Pediatric blood transfusionPurple26G0.6 mm19 mm~13 mL/minPediatrics, Neonate